Which of the following is an epiphyseal tumor?
1. Osteoid osteoma
2. Adamantinoma
3. Osteosarcoma
4. Chondroblastoma

Correct answer: 4. Chondroblastoma

Explanation: Ans. D. ChondroblastomaCHONDROBLASTOMA* This benign tumor of immature cartilage cells is one of the few lesions to appear primarily in the epiphysis, usually of the proximal humerus, femur or tibia.* The presenting symptom is a constant ache in the joint; the tender spot is actually in the adjacent bone.* X-ray shows a rounded, well-demarcated radiolucent area in the epiphysis with no hint of central calcification.